Colour change in metamorphic calcification
1. Yellowish discoloration
2. Pinkish discoloration
3. Brownish discoloration
4. Greyish discoloration

Correct answer: 1. Yellowish discoloration